Crude mortality rate is
1. Per 100
2. Per 1000
3. Per 10000
4. Per 100000

Correct answer: 2. Per 1000